Failure of oral contraceptives occur when used with any of these except:
1. Asprin
2. Tetracycline
3. Phenytoin
4. Rifampicin

Correct answer: 1. Asprin